Michaelis gutmann bodies are found in ?
1. Malakoplakia
2. Xanthogranulomatous pyelonephritis
3. Nail patella syndrome
4. Xanthelesma

Correct answer: 1. Malakoplakia

Explanation: Ans. is 'a' i.e., Malakoplakiao In addition to histological changes, malakoplokia is also characterized by Michaelis Guttman bodies. Michalies Guttman bodies are Laminated mineralized concretions resulting from deposition of calcium in enlarged lysosomes. They are typically present both within the macrophages and between cells.